Cholecyto - caval line serpates
1. Gall bladder & IVC
2. Porta hepatis & IVC
3. Right & left lobe
4. Quadrate & caudate lobe of liver

Correct answer: 3. Right & left lobe